Tremors on movements is seen in
1. Spinal cord injury
2. Thalamus injury
3. Internal capsule injury
4. Cerebellum injury

Correct answer: 4. Cerebellum injury